Posterior colpotomy is done for?
1. Pelvic abscess
2. Pelvic Haematocele
3. Ovarian abscess
4. All

Correct answer: 4. All

Explanation: ANSWER: (D) AllREF: Infectious Diseases of the Female Genital Tract by Richard L. Sweet, Ronald S. Gibbs - Page 109Posterior colpotomy is done to evacuate pus and to establish drainage from a pelvic (cul-de-sac) abscess or a tubo-ovarian abscess. It is also done in a search for blood when tubal pregnancy is suspected.Posterior colpotomy has the advantage over culdoscopy and colpocentesis in that it gives much more diagnostic information. It is safer than anterior colpotomy